Allopurinol potentiates the action of:
1. Corticosteroids
2. Probenecid
3. 6-Mercaptopurine
4. Ampicilin

Correct answer: 3. 6-Mercaptopurine

Explanation: Allopurinol: used for chronic gout Reduces uric acid synthesis by competitively inhibiting xanthine oxidase Allopurinola Alloxanthine a noncompetitive inhibitor of xanthine oxidase ESSENTIALS OF MEDICAL PHARMACOLOGY;7TH EDITION;KD TRIPATHI;PAGE NO 216